Glutathione requires which vitamin to act as antioxidant -
1. Vitamin E
2. Niacin
3. Vitamin C
4. Vitamin A

Correct answer: 2. Niacin

Explanation: Ans. is 'b' i.e., Niacin o Option a, c & d are themselves antioxidants, but glutatbion requires niacin as NADPH.o NADPH is necessary tor the maintenance of a reducing environment in the cell.o NADPH plays a key role in antioxidant defences by converting the oxidized glutathione into the reduced glutathione, which is protective.